Average fatal dose of croton oil seed is :
1. 500 drops
2. Hand ful of seeds
3. About 4 to 5 drops
4. 20 drops

Correct answer: 4. 20 drops

Explanation: D i.e. 20 drops